Which of the following is the headquarters of South East Asia Regional Office for WHO?
1. New Delhi
2. Dhaka
3. Colombo
4. Bangkok

Correct answer: 1. New Delhi

Explanation: South East Asia region of the WHO has 11 members. The headquarters is in New Delhi. Ref: Park 21st edition, page 855.